Action of toxic doses of LA on CNS can be described as:
1. Depression of the CNS
2. Stimulation of the CNS
3. First stimulating the CNS followed by depression.
4. First depression it followed by CNS stimulation.

Correct answer: 3. First stimulating the CNS followed by depression.